Which of the following statements about pulmonary hamartoma is true?
1. It is the most common benign tumor of lung
2. More common in males
3. Chest X-ray shows "Pop corn calcification"
4. All are true

Correct answer: 4. All are true